Pudendal canal is a part of -
1. Colle's fascia
2. Obturator fascia
3. Scarpa's fascia
4. None

Correct answer: 2. Obturator fascia

Explanation: Ans. is'b'i.e., Obturator fasciaPudendal canal (Alcock's canal) is a fascial canal in the lateral wall of ischeorectal (ischeo-anal) fossa.It is a space between obturator fascia and lunate fascia. Other believe that it is formed by splitting of the obturator fascia.Contents of pudendal canal are -Pudendal nerve,Internal pudendal artery, andInternal pudendal vein.